Key symptom in alcohol withdrawal syndrome is:
1. Sleep disturbance
2. Visual hallucinations
3. Tremors
4. Delirium

Correct answer: 3. Tremors

Explanation: Ans: C. TremorsKey symptom - Tremor.Withdrawal SyndromesSubstanceFeaturesOpioidYawningdeg, Insomnia, Dysphoric moodWater loss from different orificesdeg (Lacrimationdeg, sweatingdeg, diarrheadeg, vomiting, Increased vitalsdeg (BP, Pulse, RR, Temperature)degPupillary dilation, piloerectiondegAlcoholHang over (MC)degHallucinationsdeg (usually auditory) and illusionsdegInsomniadegTremors/Seizures (Alcoholic seizures/Rum fits): Classic signDelirium tremens:Occurs within 5 daysdeg of complete or significant abstinencedeg from heavy alcohol Recovery occurs within 7 daysCharacteristic features are clouding of consciousnessdeg, disorientationdeg, hallucinations (mostly visual and auditory)deg, illusiondeg, autonomic disturbancesdeg, agitationdeg and insomniadeg.CocaineIncreased or decreased Sleep (hypersomniadeg or insomnia) Psychomotor activityVivid unpleasant dreamsdegIncreased apetite and fatigue